Characteristic visual field defect in optic chiasma lesion -
1. Homonymous hemianopia
2. Bitemporal hemianopia
3. Upper quadrantanopia
4. Lower quadrantanopia

Correct answer: 2. Bitemporal hemianopia

Explanation: Ans, is 'b' i.e,. Bitemporal hemianopia Site of lesionVisual field defectOptic nerveBlindnessOptic cbiasmaBitemporal hemianopiaOptic tractIncongruent homonymous hemianopiaLateral geniculate bodyHomonymous hemianopiaOptic radiation (Total)Homonymous hemianopia, sometimes with macular sparingOptic radiation lower fibres (temporal lobe)Homonymous upper quadrantanopiaOptic radiation upper fibres (parietal lobe)Homonymous lower quadrantanopiaVisual cortex (anterior occipital cortex)Homonymous hemianopia with macular sparingOccipital cortex tipHomonymous macular defect